1,25 (OH)2 is formed in -
1. Skin
2. Liver
3. Spleed
4. Kidney

Correct answer: 4. Kidney

Explanation: Ans. is 'd' i.e., Kidney Vitamin Do Vitamin D is the major vitamin involved in the absorption of calcium.o Beside dietary intake, cutaneous synthesis is the other and more important source of vitamin D (cholecalciferol) in the body. The keratinocytes of stratum corneum of the epidermis of skin6 contain 7-dehydrocholesterol which is converted to Vitamin D3 (cholecalciferol) by the action of sunlight (UV light)o This vitamin D3 (Cholecalciferol) is converted to calcidiol (calcifediol or 25 hydroxy cholecalciferol or 25- hydroxy vitamin D3) by 25 hydroxylase in the livero Calcidiol is the major circulating form of vitamin D3o Calcidiol is then converted to Calcitriol (1-25 dihydroxy-cholecalciferol or 1-25 dihydroxy vitamin D3) by 1-a hydroxyladon in kidney.o The final hydroxyladon in kidney is rate limiting stepo Calcitriol is the active form of vitamin Do Dietary vitamin D is absorbed in ileum and requires bile salts.o When Ca+2 level is high, little calcitriol is produced, and the kidney produce the relatively inactive metabolite 24,25 dihydroxycholecalciferol instead.o Calcitriol has following effects: -i) It enhances absorption of calcium and phosphate from the intestine. It increases the synthesis of calcium binding protein calbindin.ii) Calcitriol has opposite effects on bone, increasing both bone deposition and bone resorption. However, its net effect is increased mineralization of bone. Calcitriol stimulates osteoblasts which cause mineralization of bone. Activated osteoblasts secrete osteoclast stimulating factor which induce development of osteoclasts from their precursors (Osteoclasts themsleves do not have any calcitriol receptor). Osteoclastic activation promotes bone resorption.iii) In kidney calcitriol stimulates reabsorption of phosphate in proximal tubule and reabsorption of Ca+2 in the distal tubule.